Anti emetic action is produced through :  a) Decreased CTZ stimulation b) H1 agonistic action c) D1 antagonistic action d) Olfactory apparatus stimulation e) 5 HT4 agonistic action
1. ab
2. ad
3. bc
4. ae

Correct answer: 4. ae